All of the following are true about blood staining of the cornea except:
1. Its occurrence is hastened by the raised intraocular pressure
2. It clears from centre towards periphery
3. Its clearance may take 2 years or more
4. Visual prognosis is usually poor in such cases

Correct answer: 2. It clears from centre towards periphery

Explanation: Ans. It clears from centre towards periphery